Intrinsic factor of Castle is secreted by
1. Chief bills
2. Parietal cells
3. Mucous cells
4. ss cells

Correct answer: 2. Parietal cells

Explanation: Characteristics of the Gastric Secretions a. In addition to mucus-secreting cells that line the entire surface of the stomach, the stomach mucosa has two important types of tubular glands: oxyntic glands (also called gastric glands) and pyloric glands. b. The oxyntic or Parietal (acid-forming) glands secrete hydrochloric acid, pepsinogen, intrinsic factor. Ref: guyton and hall textbook of medical physiology 12 edition page number: 406,407,408